Methoctramine is a
1. Selective M1 antagonist
2. Selective M2 antagonist
3. Selective M3 antagonist
4. Nonselective (M1+M2 ) agonist

Correct answer: 2. Selective M2 antagonist